Thick Ascending Limb of loop of Henele has which channels-
1. Na+ C1- cotransporter
2. Na+ - 2C1- - K+ cotransporter
3. ENaC channel
4. Na+ - aminoacid cotransporter

Correct answer: 2. Na+ - 2C1- - K+ cotransporter

Explanation: Ans. is 'b' i.e., Na+ - 20- - K+ cotransporter * In the thick ascending limb, a carrier (Na+ K+ 20" transporter) transports one Na+, one K+, and two Cl- from the tubular lumen into the tubular cells. This is another example of secondary active transport. From the cells Na+ is actively transported to the peritubular interstitium, across the basolateral membrane, by Na+ K+ ATPase. The K+ diffuses back into the tubular lumen and into the interstitium via ROMK and other K+ channels.